Hoarseness secondary to bronchogenic carcinoma is usually due to extension of the tumour into ?
1. Vocal cord
2. Superior laryngeal nerve
3. Left recurrent laryngeal nerve
4. Right vagus nerve

Correct answer: 3. Left recurrent laryngeal nerve

Explanation: Ans. is 'c' i.e., Left recurrent laryngeal nerve